The boundaries of the interconnection between greater sac and lesser sac of peritoneum known as 'Foramen of Winslow' are all, EXCEPT:
1. Caudate lobe of liver
2. Inferior vena cava
3. Free border of lesser omentum
4. 4th part of Duodenum

Correct answer: 4. 4th part of Duodenum

Explanation: Interconnection between greater sac and lesser sac of peritoneum is known as Foramen of Winslow. It has the following boundaries: Superior boundary: Caudate lobe of liver Anterior boundary: Free edge of lesser omentum containing common bile duct, hepatic artery andportal vein. Inferior boundary: First part of duodenum Posterior boundary: Inferior vena cava and abdominal aorta